Critical narrowing of coronary blood vessels is
1. 70%
2. 60%
3. 80%
4. 90%

Correct answer: 1. 70%